Burch technique of treating urinary incontinence is
1. Pubovaginal sling
2. Retropubic urethropexy
3. Midurethral slings
4. Needle suspension

Correct answer: 2. Retropubic urethropexy

Explanation: Burch colposuspension is procedure of retropubic urethropexy, wherein pubocervical fascia is attached to cooper ligament to lift anterior vaginal wall and periurethral fibromuscular tissue.